Two Barr bodies are seen in -
1. XXX
2. 47 XXY
3. X0
4. 46 XXY

Correct answer: 1. XXX

Explanation: A number of Barr bodies in a nucleus is less than the number of X-chromosomes.
Thus XXX (super-female) has two Barr bodies.